Which immunoglobulin is present in the breast milk:
1. Ig A
2. Ig E
3. Ig D
4. Ig M

Correct answer: 1. Ig A

Explanation: Ans. A: Ig A Secretory IgA is the principal immunoglobulin of breast milk/colostrum. It is synthesized in the mammary epithelial cell by the coupling of two IgA molecules, produced locally by lymphocytes resident in the breast tissue, with two proteins, J-chain and secretory component. The specificity of breast milk secretory IgA antibodies reflects the mother's exposure to mucosal infection and is independent of the specificity profile of blood-borne IgA.